The Pin index code of Nitrous oxide is :
1. 2,5.
2. 1,5.
3. 3,5.
4. 2,6.

Correct answer: 3. 3,5.

Explanation: Ans. is 'c' i.e. 3, 5 Pin index for the following gases are-Nitrous oxide - 3 and 5Oxygen - 2 and 5Cyclopropane - 3 and 6Carbon dioxide - 1 and 6 Also, RememberInternational color code for cylindersOxygen* - black with white shouldersNitrous oxide* - BlueCarbon dioxide* - GrayCyclopropane*- Orange